Caspases are associated with -
1. Organogenesis
2. Hydropic degeneration
3. Collagen hyalinization
4. None

Correct answer: 1. Organogenesis

Explanation: Organogenesis Apoptosis is a programmed cell death. This programmed death is critical, for the elimination of unwanted or damaged cells from multicellular organism. Apoptosis is responsible for the physiological deletion of cells during the embryonic development and serves as a balance to mitosis in regulating the size of animal tissues. - Apoposis is a common process seen during embryogenesis in all steps such as: Implantation - Organogenesis - Development - Involvement - Metamorphosis The separation of digits during the limb development is a classic example of effect of apoptosis in embryology. The regression of duct system in the course of sexual development of fetus is attributed to this mechanism. Neural tube shows discrete area of programmed cell death at several stages during development. During the development of central nervous system active remodeling occurs during synapse formation. Large number of neurons are produced and some die. Apoptosis plays a role in preserving most effective neurons. In early life apoptosis helps to get rid of inappropriate clones of lymphocytes. Even death of B & T lymphocytes and deletion of autoreactive T cells in thymus is a result of apoptotic mediation. Caspases are crucial mediators of apoptosis - Caspases are required for both the triggering as well as the execution phase of apoptosis. - They are effectors of apoptotic machinery.